Antihypertensive may act by blocking all of following except:
1. Alpha–adrenoceptors
2. ATP dependent K+  channels
3. Nor adrenaline release
4. Beta adrenoceptors

Correct answer: 2. ATP dependent K+  channels